Which of the following regarding rheumatic nodules is false ?
1. Found over extensor surface
2. Tender on palpation
3. Associated with carditis
4. Pea size nodules

Correct answer: 2. Tender on palpation

Explanation: Ans. is 'b' i.e., Tender on palpation Articular manifestations of rheumatoid arthritis have already been emphasized."The typical picture of B/L symmetricalQ inflammatoryr polyarthritis involving smalQ joints initially and largeQ joints later on, with sparing of the axial skeleton except the cervical spine is very likely, rheumatoid arthritisBesides causing articular, manifestations. Rheumatoid arthritis also causes certain extraarticuiar manifestationsExtra articular manifestations of Rheumatoid arthritiso Systemic manifestationsFatigue, weight loss, low grade feverMore common with RA positive o Subcutaneous nodulesSeen almost exclusively in patients with RF (rheumatoid factor)May occur anywhere but most commonly occur subcutaneously on extensor surface particularly forearm, over joints or pressure points.Nontendero PulmonaryPleural effusionQ with low glucoseQ and pHLung nodulesQ - solid may calcify or cavitateDiffuse interstitial firbosiso EyeSjogren syndrome (keratoconjunctivitis sicca from sjogren syndrome is the most common eye manifestation)Scleritiso NeurologicPeripheral nerve entrapment syndrome, carpal tunnel syndrome0 (median nerve), Tarsal tunnel syndromeQ (anterior tibial nerve).Mononeuritis multiplexo CVSPericardial effusion (pericardium is the most common site of involvement)Constrictive pericarditisIncreased morbidity and mortality from coronary artery' diseaseCardiomyopathyo Enthesopathy i. e., inflammation of tendons and ligamentous attachment to bone is characteristic of psoriatic arthritis (not rheumatic).